Deposition of calcium in dying tissue is called
1. Metastatic calcification
2. Dystrophic calcification
3. Heterotropic calcification
4. Normal calcification

Correct answer: 2. Dystrophic calcification

Explanation: Dystrophic calcification is encountered in areas of necrosis of any type. It is virtually inevitable in the atheromas of advanced atherosclerosis, associated with intimal injury in the aorta and large arteries and characterized by the accumulation of lipids Metastatic calcification can occur in normal tissues whenever there is hypercalcemia( Robbins Basic Pathology, 9th edition, page 26 )